Under RCH programme, intervention done in selected districts
1. Treatment of STD
2. Immunization
3. ORS therapy
4. Vitamin A supplementation

Correct answer: 1. Treatment of STD